Which wall of the heart is enlarged first in a patient with McCallum patch?
1. Left atrium
2. Right atrium
3. Left ventricle
4. Right ventricle

Correct answer: 1. Left atrium

Explanation: In MacCallum's patch the basic concept is regarding VALVULITIS (Inflammation of valves) Left atrium :enlarged first in a patient with McCallum patch